There is a mutation of a gene coding for the ryanodine receptors in malignant hyperthermia. Which of the following statements best explains the increased heat production in malignant hyperthermia?
1. Increased muscle metabolism by excess of calcium ions
2. Thermic effect of blood
3. Increased sympathetic discharge
4. Mitochondrial thermogenesis

Correct answer: 1. Increased muscle metabolism by excess of calcium ions

Explanation: Ryanodine receptors in sarcoplasmic reticulum act as calcium channels. The mutation of Ryanodine receptors causes it to release Ca++ into sarcoplasm uncontrollably resulting in high metabolism by the muscles. This causes malignant hyperthermia.